Kidney cortex contain
1. Renal pyramids
2. Malpighian corpuscles
3. Renal papilla
4. Minor calyces

Correct answer: 2. Malpighian corpuscles

Explanation: Malpighian corpuscle contains bowman capsule and glomerulus which is present in renal cortex. End of renal pyramids called papilla along with minor calyx is present in Renal medulla which is inner portion of kidney.